Histological variety of Breast carcinoma with best prognosis is?
1. Medullary
2. Colloid
3. Lobular
4. Tubular

Correct answer: 4. Tubular

Explanation: ANSWER: (D) TubularREF: Sabiston 17th ed p. 891, CSDT 11th ed p. 335It is commonly held that infiltrating ductal carcinomas (NOS) is the most common form of breast carcinoma and carries worst outcome.Infiltrating and pure medullary carcinomas have intermediate outcomesTubular and mucinous carcinomas are least aggressive cancersNOTE: Most important prognostic factor for breast carcinoma is staging followed by lymph node status